All of the following represent Specific protection mode of Disease prevention except:
1. Chemoprophylaxis for meningococcal meningitis
2. Personal hygiene and Environmental sanitation
3. Usage of condoms
4. Iodization of salt

Correct answer: 2. Personal hygiene and Environmental sanitation

Explanation: Ans. (b) Personal hygiene and Environmental sanitation* Specific protection mode of disease prevention: Is a Primary level of disease prevention (applied when risk factors are present in environment, but disease has not yet taken place). Risk factors are already present, but disease is prevented from occurring by using a specific modality. E.g., Chemoprophylaxis to prevent meningococcal meningitis, Usage of condoms to prevent pregnancy/ STIs, Iodization of salt to prevent Iodine Deficiency Disorders.* Personal hygiene and Environmental sanitation is Health Promotion mode of intervention, also a type of Primary level of prevention